All are true about Ramsay Hunt syndrome except:
1. Involves VII nerve
2. May involve VIII nerve
3. Surgical treatment gives excellent prognosis
4. Causative agent is virus

Correct answer: 3. Surgical treatment gives excellent prognosis

Explanation: (c) Surgical treatment gives excellent prognosis(Ref. Scott Brown, 6th ed., 1403)Treatment is steroids and acyclovir like Bell's palsy. Rest are true.